At the end of C6 which is not true:
1. Trachea bifurcates
2. Pharynx ends
3. Esophagus begins
4. Larynx ends

Correct answer: 1. Trachea bifurcates

Explanation: Ans. A Trachea bifurcatesRef: BDC, 6ted. Vol II pg. 280-81* Trachea begins at lower border of cricoid cartilage opposite to the lower border of C6 vertebra.* Trachea extends up to upper border of T5* Tracheal bifurcation (carina) is at T4-T5 level.* Length of trachea is 10-12 cm* Thyroid cartilage is over 3, 4 & 5 tracheal ringsAt C6 vertebral level: Landmark is Cricoid cartilage* Larynx ends; Trachea begins* Pharynx ends; Esophagus begins* Inferior thyroid artery crosses posterior to carotid sheath.* Middle cervical sympathetic ganglion behind inferior thyroid artery* Inferior laryngeal nerve enters the larynx.* Vertebral artery enters the transverse foramen of C6.